Drug of choice for Herpes simplex encephalitis is :
1. 5–Hydroxy deoxyuridine (5–HU)
2. Acyclovir
3. Gancyclovir
4. None of the above

Correct answer: 2. Acyclovir